A 22 year old woman developed small itchy wheals after physical exertion, walking in the sun, eating hot spicy food and when she was angry. The most likely diagnosis is –
1. Chronic idiopathic utricaria
2. Heat urticaria
3. Solar urticaria
4. Cholinergic urticaria

Correct answer: 4. Cholinergic urticaria

Explanation: Similar to previous question this women developed urticaria (itchy wheal) after :-


Walking in the sun → generalized heating
Eating hot spicy food
Physical exertion
When she was angry → emotional stress


Diagnosis is cholinergic urticaria